Reinforcement technique is based on
1. Social learning
2. Freudian psycho analytical theory
3. Skinner's theory
4. Massler's theory

Correct answer: 3. Skinner's theory